Minute 1 to 2mm hemorrhages are known as
1. Petechiae
2. Purpura
3. Ecchymosis
4. Bruises

Correct answer: 1. Petechiae

Explanation: Petechiae 1 to 2 mm Purpura > 3mmEcchymoses 1 to 2 cmRef: Robbins and Cotran Pathologic Basis of Diseases; 9th edition; Chapter 4; Hemodynamic Disorders, Thromboembolic Disease, and Shock; Page no: 122